Gvnaecomastia may be associated with
1. Klinefelter's syndrome
2. Feminizing tumour of adrenal gland
3. Normal adolescent boys who are rapidly virilizing
4. All of the above

Correct answer: 4. All of the above

Explanation: (D) All of the above # Pathological gynecomastia may result from deficiency of testosterone (anorchia, Klinefleter's, androgen resistance orchitis & castration); Increased production of estrogens (testicular or adrenal tumours, hCG secreting tumours> Drugs (ketoconazole, spironolactone & Cemitidine inhibit testosterone); clomiphene enhances endogenous estrogen